Which of the following is the enrichment medium for Vibrio cholera
1. Monsur taurocholate peptone water
2. TCBS medium
3. LJ medium
4. Regan lowe medium

Correct answer: 1. Monsur taurocholate peptone water

Explanation: Enrichment media: Alkaline peptone water at a PH of 8.6 Monsur's taurocholate tellurite peptone water at a PH of 9.2 Both are good transport and enrichment media. Ref: Textbook of microbiology; Ananthanarayan and paniker's; 10th Edition; Pg:310